Rinne's test negative is seen in -
1. Presbycusis
2. CSOM
3. Labyrinthitis
4. Menieres disese

Correct answer: 2. CSOM